Which of the following is not one of the "Five Cleans" used for the elimination of neonatal tetanus?
1. Clean Surface
2. Clean Hands
3. Clean Airway
4. Clean Tie

Correct answer: 3. Clean Airway

Explanation: The "Five Cleans" which are used to promote clean deliveries in order to eliminate neonatal tetanus are clean hands, clean surface, clean blade, clean stump and clean tie. These denote the clean hands of the attendant, clean delivery surface, clean and sterile blade used to cut the cord, clean tie for the cord and no application on the cord stump. Ref: Park's Textbook Of Preventive And Social Medicine, By K. Park, 19th Edition, Page 263 ; National Health Programmes Of India: National Policies & Legislations Related To Health, By J. Kishore, Century Publications 2005, Page 46